Hypothyroidism caused by a viral infection of the thyroid gland is a pathologic condition associated with which of the blood hormone levels.
1. High prolactin (PRL)
2. High TSH
3. High cortisol
4. Low growth hormone (GH)

Correct answer: 2. High TSH

Explanation: Thyroid hormone is necessary for growth, development, and maintenance of almost all tissues of the body. It stimulates oxidative metabolism and causes the basal metabolic rate (BMR) to increaseLow levels of thyroid hormone result in increased production of TSH by the anterior pituitary, in an attempt to raise thyroid hormone levels.